Agoraphobia is?
1. Fear of strangers
2. Fear of crowds
3. Fear of death
4. Fear of fire

Correct answer: 2. Fear of crowds

Explanation: Ans. is 'b' i.e., Fear of crowded Agoraphobia* This is an example of irrational fear of situations. It is the commonest type of phobia encountered in clinical practice.* It is characterized by an irrational fear of being in places away from familiar setting of home and patient believes that he cannot escape from these places, to a safer place (usually home). This fear results in avoidance of these places which include public places, stores, crowd, travelling alone in bus, train or plane, Theaters, Tunnels, Bridge, standing in line small enclosed rooms or lifts.* The patient is afraid of all the places or situations from where escape may be perceived to be difficult if he suddenly develops embarrassing or incapaciating symptoms. These embarrassing or incapaciating symptoms are the classical symptoms of panic. A full-blown panic attack may occur (agoraphobia with panic disorder) or only a few symptoms (like dizziness or tachycardia) may occur (agoraphobia without panic disorder).Other options* Fear of strangers- Xenophobia* Fear of death- Thanatophobia* Fear of fire- Pyrophobia